Cells seen in cutaneous T cell lymphoma are called-
1. Councelmen bodies
2. Barr bodies
3. Sezary cells
4. Dohle bodies

Correct answer: 3. Sezary cells

Explanation: Ans is 'c' i.e. Sezary cells o Sezary cells (pleomorphic abnormal T cell with the characteristic cerebriform nuclei) are characteristic feature of Sezary syndrome (late stage of cutaneous T cell lymphoma).About other optionso Dohle bodies are light blue-gray, oval, basophilic, leukocyte inclusions located in the peripheral cytoplasm ofneutrophils.They are seen in : Bums, Infections, Physical trauma, Neoplastic diseases, Wissler's disease, May- Hegglin anomaly, Chediak-Steinbrinck-Higashi's syndromeo Councilman body is an acidophilic (eosinophilic / pink-staining on H&E) apoptotic globule of cells that represents a dying hepatocyte often surrounded by normal parenchyma.They are found in the liver of individuals suffering from viral hepatitis (acute), yellow fever, or other viral syndromeso A Barr body (named after discoverer Murray Barr) is the inactive X chromosome in a female somatic cell.